Lepra cell is a –
1. Plasma cell
2. Neutrophil
3. Lymphocyte
4. Histiocyte

Correct answer: 4. Histiocyte

Explanation: Virchow's lepra cells or foamy cells are undifferentiated histiocytes.